Following features are true about lipid insoluble beta blockers except-
1. Do not cross blood brain barrier
2. Have good membrane stabilizing effect
3. Incompletely absorbed orally
4. Are long acting

Correct answer: 2. Have good membrane stabilizing effect

Explanation: Ans. is 'b' i.e., Have good membrane stabilizing effect Lipid insolubile drugs have follow ing features -o Do not cross Blood Brain Barrier and therefore produce no CNS effects.o Have good renal excretiono Have no membrane stabilizing activityo Are incompletely absorbed orallyo Are long actingo Are effective in narrow dose rangeLipid insoluble b-blockers1. Acebutolol4. Betoxalol7. Esmolol10. Labealol2. Atenolol5. Carteolol8. Nodalol11. Pindolol3. Bisoprolol6. Ceiiprolol9. Sotaiol